Which of the following contraceptive methods has a failure rate of less than 5 in 100 woman
1. Vaginal sponge
2. Copper T
3. Diaphragm
4. Condom

Correct answer: 2. Copper T

Explanation: Ans b Sheila balakrishnan pg342Pearl Index = Pregnancy rate/lOOwoman years rings (combined estrogen, progesterone ring)-0.3%Emergency contraception - Levonorgestrel -1.1%Yuzpee regimen 3.2%Copper TCuT.380A, Mirena "0.2%Male condoms-12%